'Batwing' appearance on X-ray chest is seen in:
1. Bronchial asthma
2. Cardiogenic pulmonary edema
3. Mitral stenosis
4. Pulmonary embolism

Correct answer: 2. Cardiogenic pulmonary edema

Explanation: In Cardiogenic pulmonary edema: "Butterfly" or "Bat wing" appearance (i.e., consolidated hilum + uninvolved lung cortex) on CXR. The central/perihilar distribution is supposed to be due to increased fluid accumulation in central alveoli due to their increased elastin content. Chest radiograph shows: Cardiogenic pulmonary edema Non-cardiogenic pulmonary edema Enlarged cardiac silhouette Heart size is normal Vascular redistribution Alveolar infiltrates are distributed more uniformly Interstitial thickening and perihilar alveolar infiltrates Pleural effusions are common Pleural effusions are uncommon